Schneider's 1st rank symptoms seen in-
1. Delusion
2. Hallucination
3. Schizoid personality
4. Schizophrenia

Correct answer: 4. Schizophrenia